All of the following are done in behaviour therapy to increase a behaviour except -
1. Punishment
2. Operant conditioning
3. Negative reinforcement
4. Reward

Correct answer: 1. Punishment

Explanation: Punishment is used for decreasing an undesired behavior.
Reinforcement is used for increasing the desired behavior. Reinforcement may be positive (reward) or negative.
Operant conditioning can be used to increase as well as to decrease a behavior. Punishment and reinforcement are examples of operant conditioning.